Presbycusis is:
1. Loss of accommodation power
2. Hearing loss due to aging
3. Noise induced hearing loss
4. Congenital deafness

Correct answer: 2. Hearing loss due to aging

Explanation: Presbycusis , or age-related hearing loss, is the cumulative effect of aging on hearing.It is a progressive and irreversible bilateral symmetrical age-related sensorineural hearing loss resulting from degeneration of the cochlea or associated structures of the inner ear or auditory nerves.